True about type II hypersensitivity reaction is?
1. May be complement mediated
2. Schultz dale phenomenin is a type 2 hypersensitivity
3. Antibody independent
4. Role of IgE

Correct answer: 1. May be complement mediated

Explanation: Type II hypersensitivity reaction is initiated by IgG antibodies that react either with cell surface tissue antigen. c Cell or tissue damage occurs in the presence of complement or mononuclear cells. Reference : Anathanarayan & paniker's 9th edition, pg no: 162